Ophthalmic examination of a patient shows 'Herbert pits' on cornea which is characteristic of the following infection:
1. Trachoma
2. Psoriasis
3. Spring catarrh
4. Fungal keratitis

Correct answer: 1. Trachoma

Explanation: In established trachoma (caused by caused by C trachomatis serovars A, B, Ba, or C), there may also be superior epithelial keratitis, subepithelial keratitis, pannus, or superior limbal follicles, and ultimately the pathognomonic cicatricial remains of these follicles, known as Herbert's pits--small depressions covered by epithelium at the limbocorneal junction. Ref: Nijm L.M., Garcia-Ferrer F.J., Schwab I.R., Augsburger J.J., Correa Z.M. (2011). Chapter 5. Conjunctiva & Tears. In P. Riordan-Eva, E.T. Cunningham, Jr. (Eds), Vaughan & Asbury's General Ophthalmology, 18e.